Which among the following drug is implicated in causing urinary retention
1. Lisinopril
2. Meperidine
3. Terazosin
4. Losartan

Correct answer: 2. Meperidine